Which of the following sites in the brain is a favored locations for ischemic damage, rabies virus infestation, and toxic damage resulting from alcohol?
1. Nucleus basalis of Meynert cell
2. Purkinje cells of cerebellum
3. Third, fifth, and sixth cortical layers of neurons in cerebral hemispheric grey matter
4. Ammon's horn of the hippocampal gyrus

Correct answer: 2. Purkinje cells of cerebellum

Explanation: The site in the brain that is a favored location for ischemic damage, rabies virus infestation, and toxic damage resulting from alcohol is the Purkinje cells in the cerebellum.In chronic ischemia, the Purkinje cells undergo apoptosis (individual cell necrosis) and assume a shrunken, deeply eosinophilic cytoplasm with fading out of the nucleus (red neuron). The eosinophilic Negri inclusion body of rabies is located in the cytoplasm of the Purkinje cells. Alcohol has a direct toxic effect on Purkinje cells, resulting in cerebellar atrophy. The nucleus basalis of Meynert is associated with neuronal loss in Alzheimer disease.